Felty syndrome
1. Splenomegaly and neutropenia
2. Nodules in upper lobe of lung and difficulty in breathing
3. Digital ulceration and gangrene
4. Multiple finger deformities

Correct answer: 1. Splenomegaly and neutropenia

Explanation: Felty's syndrome is an extra articular manifestation of rheumatoid arthritis.It is the association of splenomegaly & neutropenia with RA. Common features include spmenomegaly, lymphadenopathy,weight loss,skin pigmentation ,recurrent infections ,nodules,vasculitis,leg ulcers.